Digoxin is contraindicated in
1. Hypertrophic cardiomyopathy
2. Supraventricular tachycardia
3. Congestive heart failure
4. Atrial flutter

Correct answer: 1. Hypertrophic cardiomyopathy

Explanation: A. i.e. (Hypertrophic cardiomyopathy) (1485 - H17th)Hypertrophic CMP - Digitalis, diuretics, nitrates, dihydropyridine calcium blockers, vasodilators and b- adrenergic agonists are best avoided, particularly in patients with know LV out flow tract pressure gradients - (1485 - H17th)Dose reduction in Digitalis in following conditions* Hypokalemia** Advanced age** Hypomagnesemia* Hypoxia** **Renal failure* Hypothyroidism* Hypercalcemia* Myocarditis* Electrical - cardioversion* Lidocaine is the drug of choice in digoxin induced arrhythmias* **Diuretics & Hemodialysis are NOT used for treatment of digitalis toxicity* Major electrophysiological effect of digitalis1. Hyperpolarization2. Shortening of atrial action potential3. Increase in AV node refractoriness